Majority of the pseudomona infections occur in the:
1. ICU
2. Wards
3. Operation theatre
4. Labour room

Correct answer: 1. ICU

Explanation: P. aeruginosa is found in moist environments. It has simple nutritional needs. P. aeruginosa infection occurs with host defense compromise, mucosal trauma, physiologic derangement, and antibiotic-mediated suppression of normal flora. The majority of P. aeruginosa infections occur in intensive care units (ICUs). Ref: Harrison, E-18, P-1266.